Which of the following is not a large vessel vasculitiis ?
1. Takayasu arteritis
2. Cogan syndrome
3. Chrug strauss syndrome
4. Giant cell arteritis

Correct answer: 3. Chrug strauss syndrome

Explanation: Ans. is 'c' i.e., Churg strauss syndrome